Absolute C/I of MRI is – a) Pacemakerb) Pregnancy at 1st trimesterc) Aneurysmal clipd) Phobia
1. a
2. ac
3. ad
4. b

Correct answer: 2. ac

Explanation: Cardiac pacemakers and ferromagnetic hemostatic clips in CNS (aneurysmal clip) are absolute contraindications for MRI.